Monotherapy with which of the following antidiabetic drug can cause hypoglycemia ?
1. Metformin
2. Glibenclamide
3. Pioglitazone
4. All of the above

Correct answer: 2. Glibenclamide